Which of the following penicillins has the best gram negative spectrum?
1. Methicillin
2. Ampicillin
3. Penicillin V
4. Cefixime

Correct answer: 2. Ampicillin